Gerstmann's syndrome is due to involvement of
1. Right parietal lobe
2. Left parietal lobe
3. Upper brain stem
4. Cerebellum

Correct answer: 2. Left parietal lobe

Explanation: (B) Left parietal lobe # GERSTMANN SYNDROME: Combination of acalculia (impairment of simple arithmetic), dysgraphia (impaired writing), finger anomia (inability to name individual fingers as the index or thumb) & right-left confusion (inability to tell when a hand, foot or arm of the patient or examiner is on the right or left side of the body).> When this syndrome is in isolation, it is commonly associated with damage to the inferior parietal lobule (especially the angular gyrus) in the left hemisphere.